What is the most common malignancy affecting spleen --
1. Angiosarcoma
2. Hamartoma
3. Secondaries
4. Lymphoma

Correct answer: 4. Lymphoma

Explanation: Ans. is 'd' i.e., Lymphoma